The newborn cardiac output is
1. 200ml/kg/min
2. 250 ml/kg/min
3. 300 ml/kg/min
4. 350 ml/kg/min

Correct answer: 4. 350 ml/kg/min

Explanation: AgeCardiac output (ml/kg/min)Fetus450 Newborn3501-2 months of life150Adult75